Tyrosine enters gluconeogenesis by forming which substrate?
1. Succinyl CoA
2. Alpha Ketoglutarate
3. Fumerate
4. Citrate

Correct answer: 3. Fumerate

Explanation: GLUCONEOGENESIS 1. Definition - It is the process by which glucose molecules are produced from non-carbohydrate precursors. These include lactate, glucogenic amino acids (Alanine, glutamic acid, aspartic acid, etc), glycerol part of fat and propionyl CoA derived from odd chain fatty acids. 2. Site - Gluconeogenesis occurs mainly in the liver, and to a lesser extent in the renal cortex. The pathway is partly mitochondrial and partly cytoplasmic. 3. Key Gluconeogenic Enzymes Pyruvate carboxylase Phosphoenol pyruvate carboxy kinase Fructose-1-6-bisphosphatase Glucose-6-phosphatase . The amino acids like phenyl alanine, tyrosine, aspeate,aspargin (Glucogenic amino acids) 1st convert into Fumerate then enters into gluconeogenesis. Ref: DM VASUDEVAN TEXTBOOK OF BIOCHEMISTRY,EIGHTH EDITION,PG.NO.,135,136.